CGG repeat sequence is found in:
1. Fragile X syndrome
2. Huntingtons chorea
3. Dentatorubropallidolusyian atrophy
4. Machado Joseph disease

Correct answer: 1. Fragile X syndrome

Explanation: Ans: A (Fragile X syndrome) Ref: Robbins and Co! ran 'Pathologic Basis of Disease' 8th Edition.Elsevier. 2011 Page 168.Explanation:Expansions affecting non-coding regionsDiseaseProteinRepeatingSequenceFragile X syndromeFMR-1 proteinCGGFriednch ataxiaFrataxinGAAMyotonic DystophyMyotonic dystrophy protein kinase (MDPK)CTG(See the following table)